The earliest case of severe acute respiratory syndrome (SARS) was reported in -
1. China
2. Singapore
3. Vietnam
4. Toronto

Correct answer: 1. China